Treatment of stage I bladder cancer is -
1. Radical cystectomy
2. Endoscopic removal with intravesical chemotherapy
3. Chemotherapy
4. Radiotherapy

Correct answer: 2. Endoscopic removal with intravesical chemotherapy

Explanation: Ans. is 'b' i.e., Endoscopic removal with intravesical chemotherapy Following is the slide of TNM staging of bladder carcinoma:Bladder staging. TNM, tumor, node, metastasis* Stage I bladder carcinomas are typically come under superficial bladder tumors.Following table is a broad guideline for the management of urinary bladder carcinoma:Management of Bladder CancerNature of LesionManagement ApproachSuperficialEndoscopic removal usually with intravesical therapyInvasive diseaseCystectomy + systemic chemotherapy (before or after surgery)Metastatic diseaseCurative or palliative chemotherapy (based on prognostic factors) +- surgery